Micturition centre is present in -
1. Lateral temporal cortex
2. Medial temoral cortex
3. Lateral frontal cortex
4. Medial frontal cortex

Correct answer: 4. Medial frontal cortex

Explanation: Ans. is 'd' i.e., Medial frontal cortex o Micturition centers are located in the brain-stem and cerebral cortex.1) In cerebral cortex (cortical center) : A cortical center for voluntary control of initiation and cessation of micturition is located in the superior frontal gyrus on medial surface (medial frontal cortex).2) Pontine centers: Two pontine centers of micturition are located in pons: -i) One pontine micturition center (Barringtons center) sends excitatory impulses to the sacral parasympathetic neurons that elicit contraction of detrusor muscle.ii) Second pontine micturition center sends excitatory impulses to the lower motor neurons of the Onuf nucleus that supply external urethral sphincter.